Autism is characterised by all EXCEPT
1. Motor abnormalities
2. Less eye contact
3. High intelligence
4. Unusual gestures

Correct answer: 3. High intelligence

Explanation: (C) High intelligence # AUTISM is a neurodevelopmental disorder characterized by impaired social interaction, verbal and non-verbal communication, and by restricted and repetitive behavior.> Autistic infants show less attention to social stimuli, smile and look at others less often, and respond less to their own name.> Sensory abnormalities are found in over 90% of those with autism, and there is no good evidence that sensory symptoms differentiate autism from other developmental disorders.> 60%-80% of autistic people have motor signs that include poor muscle tone, poor motor planning, and toe walking, deficits in motor coordination are pervasive across ASD and are greater in autism proper.